Supine hypotension is characteristic of:
1. First trimester
2. 2nd trimester
3. 3rd trimester of pregnancy
4. Twin pregnancy

Correct answer: 3. 3rd trimester of pregnancy

Explanation: 3rd trimester of pregnancy